Characteristic feature of pagets cells is-
1. Eosinophilic cytoplasm
2. Abundant clear cytoplasm
3. Glycogen mass
4. Multinucleated giant cell

Correct answer: 2. Abundant clear cytoplasm

Explanation: Ans. is 'b' i.e. Abundant clear cytoplasm